Which laser is used in the management of after cataracts –
1. Argon
2. Krypton
3. Nd–YAG
4. Excimer

Correct answer: 3. Nd–YAG

Explanation: Thin after cataract can be cleared centrally by Nd : YAG laser capsulotomy.